A cervical Pap smear report stating that "koilocytic atypia is present" indicates the:-
1. Presence of high-grade cervical intraepithelial neoplasia
2. Cytologic effect of herpesvirus type 2
3. Cytologic effect of human papillomavirus
4. Presence of chlamydial infection

Correct answer: 3. Cytologic effect of human papillomavirus

Explanation: HPV infection of squamous cells Produces wrinkled nuclei surrounded by a clear halo. This is called koilocytosis. Whether it is indicative of a low or a high grade lesion in the cervix requires tissue documentation. This is usually obtained with a colposcopic biopsy.